Single gene autosomal recessive disease is
1. Wilson's disease
2. Tuberous sclerosis
3. Huntington's disease
4. Schizophrenia

Correct answer: 1. Wilson's disease

Explanation: Single gene autosomal recessive disease is Wilson's disease.
Tuberous sclerosis, Huntington's disease are autosomal dominant disorder
Schizophrenia is a multifactorial disease.